Which of the following is essential for tumor metastasis?
1. Angiogenesis
2. Tumorogenesis
3. Apoptosis
4. Inhibition of tyrosine kinase activity

Correct answer: 1. Angiogenesis

Explanation: Metastasis is a complex series of steps in which cancer cells leave the original tumor site and migrate to other parts of the body the bloodstream or the lymphatic system. One of the critical events required for metastasis is the growth of a new network of blood vessels, called tumor angiogenesis.